Most common cause of subarachnoid hemorrhage is:-
1. Hypertension
2. AV malformation
3. Berry aneurysm
4. Tumors

Correct answer: 3. Berry aneurysm

Explanation: MC cause of subarachnoid hemorrhage : Trauma > Spontaneous rupture of Berry Aneurysm